Banana and lemon sign seen in which fetal nomalies :
1. Neural tube defect
2. Hydrops fetalis
3. Twins
4. IUD

Correct answer: 1. Neural tube defect

Explanation: Ans. is a i.e. Neural tube defect Signs of Spina bifida on Ultrasound Small biparietal diameter. Ventriculomegaly. Frontal bone scalloping or the so called lemon sign. Elongation and downward displacement of the cerebellum-the so called banana sign. Effacement or obliteration of the cisterna megna.